A 10-year-old boy is brought into the casualty with yellow sclera, dark urine and abdominal discomfort. The liver function tests reveal serum transaminase levels of 2100 IU/L. Which of the following is the most accurate statement about probable complications?
1. Significant likelihood of hepatocellular carcinoma
2. About a 10 percent chance of a chronic carrier state
3. Almost no chance of long-term sequelae
4. Long-term complications require interferon therapy

Correct answer: 3. Almost no chance of long-term sequelae

Explanation: This is most likely hepatitis A infection, which carries a very low chance of long-term sequelae. Chronic hepatitis such as that seen with hepatitis B is very rare. In HAV infection, an incubation period of 15-45 days (mean 25 days) is usually followed by fever; anorexia (poor appetite); nausea; pain in the right upper abdominal quadrant; and, within several days, jaundice. Dark urine and clay-colored stools may be noticed by the patient 1 to 5 days before the onset of clinical jaundice. The liver is enlarged and tender, and serum aminotransferase and bilirubin levels are elevated as a result of hepatic inflammation and damage. Recovery occurs in days to weeks. Ref: Ray C.G., Ryan K.J. (2010). Chapter 13. Hepatitis Viruses. In C.G. Ray, K.J. Ryan (Eds), Sherris Medical Microbiology, 5e.